Translocation (8;14) is characteristic of -
1. Burkitt's lymphoma
2. Ataxia telengieactasia
3. ALL
4. CML

Correct answer: 1. Burkitt's lymphoma

Explanation: Ans. is 'a' i.e., Burkitt's lymphoma Chromosomal translocations Associated Neoplasmo 8-14-Burkitt's lymphoma.Acute lymphocytic leukemia (FAB type L3) Immunoblastic B cell lymphomao 15-17-Promyelocytic leukemiao 4-11-Acute lymphocytic leukemiao 11-14-Chronic lymphocytic leukemiao 14-18-Follicular lymphomao 6-14-Cystadenocarcinoma of the ovaryo 3-8-Renal adenocarcinoma, mixed parotid tumor.